Crizotinib is used in the treatment of :
1. FLT-3 +ve Non small cell carcinoma of lung
2. ALK +ve Non small cell carcinoma of lung
3. FLT-3 +ve  Acute myeloid leukemia
4. BRCA-2 +ve metastatic breast carcinoma

Correct answer: 2. ALK +ve Non small cell carcinoma of lung

Explanation: Crizotinib inhibits anaplastic lymphoma kinase (ALK), hence used in ALK mutation positive non small cell carcinoma of lungs.